Most effective agent to prevent motion sickness is
1. Ephedrine
2. Nedocromil
3. Hyoscine
4. Cyproheptadine

Correct answer: 3. Hyoscine

Explanation: Moon sickness is more easily prevented than cured.
 Transdermal hyoscine (scopolamine) is the best agent for the prevention of motion sickness.
 Antihistamines can also be used for prevention.